Last organ to putrefy after death is :
1. Heart
2. Prostate
3. Stomach
4. Brain

Correct answer: 2. Prostate

Explanation: Ans-BRef: The Essentials of Forensic Medicine and Toxicology by KS A'arayan Reddy. 29th edition. 20/0. Rage 152Note- Order of Putrefaction- earliest to last- larynx, trachea a Stomach, intestine, liver, spleen a Brain, Lungs a Heart, Kidney a Bladder, Uterus/Prostrate a Skin, muscles, tendon a lastly, bones.Explanation:As a general rule, the organs show putrefactive changes in the following order:Putrefaction:It is a type of decomposition.It is the final stage following death, in which destruction of the soft tissues of the body is caused mainly by the action of bacterial enzymes, mostly anaerobic organisms derived from intestines.The chief destructive bacterial agent is Clostridium welchii, which causes markedhemolysis, liquefaction of the postmortem clots, disintegration of tissues and gas formation in blood vessels and tissues.Lecithinase produced by Cl. welchiii is mainly responsible.